Most common site of sialolithiasis is
1. Submandibualr gland
2. Parotid Gland
3. Sublingual Gland
4. Equally common in all salivary glands

Correct answer: 1. Submandibualr gland

Explanation: Ans. is 'a' i.e., Submandibualr gland "Eighty percent of all salivary stones occur in the submandibular glands because their secretions are highly viscous." - Bailey and Love 25/eo Eighty percent of submandibular stones are radio-opaque and can be identified on plain radiographs. In contrast parotid stones are usually radiolucent and rarely visible on plain radiography.o Repeat from previous sessions